True about epidural anaesthesia in pregnancy
1. Given through subarachnoid space
2. Increases cardiac output
3. Decreases venous return
4. All

Correct answer: 3. Decreases venous return

Explanation: C i.e. Decrease venous return In epidural anesthesia, the anesthetic drug is injected in epidural spaceQ& in spinal anesthesia the drug is injected in subarachnoid spaceQ. CVS changes that occur after epidural anesthesia are summarized in box? Hypotension (20-30% .1. in B.P. or systolic B.P. most common S/EQ. It is treated by IV ephedrine, IV fluids, IV phenylepherine, 02 supplement & left uterine displacementQ Use of head down (Trendelenburg) position is controversial because of its potentially detrimental effects on pulmonary gas exchange.Q In the absence of hypotension neither epidural nor spinal have any effect on the uterine blood flow. (placental circulation)